Cardiac or central nervous system toxicity may result when standard lidocaine doses are administered to patients with circulatory failure. This may be due to the following reason –
1. Lidocaine concentration are initially higher in relatively well perfused tissues such as brain and heart
2. Histamine receptors in brain and heart gets suddenly activated in circulatroy failure
3. There is a sudden out-burst of release of adreneline, noradreneline and dopamine in brain and heart
4. Lidocaine is converted into a toxic metabolite due to its longer stay in liver

Correct answer: 1. Lidocaine concentration are initially higher in relatively well perfused tissues such as brain and heart

Explanation: Lidocaine is a rapidly acting drug because of its rapid distribution to well perfused tissues such as brain and heart.
Circulatory failure is characterized by decreased cardiac output and a consequent decrease in hepatic blood flow. As a result metabolic clearance of Lidocaine in liver is diminshed and its elimination is increased. Consequently Lidocaine concentration is initially increased in these relatively well perfused tissues (brain and heart) even with usual doses and toxicity results.